Egyptian opthalmia is-
1. Spring Catarrh
2. Trachoma
3. Intersitial keratitis
4. xerophthalmia

Correct answer: 2. Trachoma

Explanation: Trachoma (previously known as Egyptian ophthalmia) is a chronic keratoconjunctivitis, primarily affecting the superficial epithelium of conjunctiva and cornea simultaneously. It is characterised by a mixed follicular and papillary response of conjunctival tissue It is still one of the leading causes of preventable blindness in the world.b The word 'trachoma' comes from the Greek word for 'rough' which describes the surface appearance of the conjunctiva in chronic trachoma. Ref: A K KHURANA COMPREHENSIVE OPHTALMOLOGY,E4,page-62